Registered medical practitioner protecting unqualified person in practice is known as
1. Uncoverage
2. Covering
3. Touting
4. Dichotomy

Correct answer: 2. Covering

Explanation: Ans. b (Covering). (Ref. Medical Jurisprudence & Toxicology by Glaister, 6, Parikh, FMT 5th/558)COVERING# A Registered medical practitioner protecting a non-medical person who practices medicine is called covering.# Association with unqualified persons includes:- Employment of unqualified or unregistered assistant or mere countenancing of such practice.- Assisting an unqualified person as by giving an anesthetic for some procedure.- Having relations with uncertified persons which enables them to practice Midwifery or issuing certificate which enables them to practice midwifery or issuing certificate which enable such practices to occur (covering of unqualified persons).# This does not affect the proper training of bonafide medical students or employment of midwives, dispensers, and surgery assistants, under the immediate personal supervision of a RMP.# Also note, receiving or giving commission or other benefits from or to a professional colleague, a manufacturer, trader, chemist etc.# Giving of a commission by one doctor to another for referring, recommending or procuring any patient for medical, surgical or other treatment is known as Dichotomy (Fee-Sharing).Q